Genital warts are caused by -
1. HPV 2 & 4
2. HPV 3 & 10
3. HPV 5 & 8
4. HPV 6 & 11

Correct answer: 4. HPV 6 & 11